Sensory fibres from the taste buds in the hard and soft palate travel along
1. Trigeminal nerve
2. Facial nerve
3. Glossopharynegeal nerve
4. Vagus nerve

Correct answer: 2. Facial nerve

Explanation: Special sensory or gustatory nerves carrying taste sensations from the oral surface are contained in the lesser palatine nerves. The fibres travel through the greater petrosal nerve to the geniculate ganglion of the facial nerve and from there to the nucleus of the solitary tract. Ref: BD Chaurasia's HUMAN ANATOMY, Volume 3, 4th.